The mantle dentin found alon DEJ is
1. 20 μm
2. 30 μm
3. 40 μm
4. 50 μm

Correct answer: 1. 20 μm

Explanation: The mantle dentin found along the DEJ is about 20μm thick and it contains larger-diameter argyrophilic (silver stained) collagen fibers arranged perpendicularly to the DEJ. The circumpulpal dentin contains smaller-diameter closely packed collagen fibers. The dentin which forms after root completion is called secondary dentin.